Occupational exposure to Benzene may lead to:
1. Lung cancer
2. Leukaemia
3. COPD
4. Neurofibromas

Correct answer: 2. Leukaemia

Explanation: Benzene is known to cause cancer, based on evidence from studies in both people and lab animals. The link between benzene and cancer has largely focused on leukemia and other cancers of blood cells.